In Glasgow Coma Scale all of the following areconsidered EXCEPT -
1. Eye opening
2. Verbal response
3. Motor response
4. Sensory response

Correct answer: 4. Sensory response